Action of 'Telomerase' is
1. DNA repair
2. Longetivity of cell - Ageing
3. Breakdown of telomer
4. None

Correct answer: 2. Longetivity of cell - Ageing

Explanation: B i.e. Longetivity of cell- aging